BMR changes by what % in pregnancy
1. Rise by 25%
2. Fall by 25%
3. Rise by 50%
4. Fall by 50%

Correct answer: 1. Rise by 25%

Explanation: Ans. A. Rise by 25%* During pregnancy glomerular filtration rate increases, which causes increased renal clearance of iodine.* Maternal serum iodine levels fall due to increased renal loss and also due to transplacental shift to the fetus. These cause hyperplasia of the gland.